Dying deposition is done by
1. Police
2. Doctor
3. Magistrate
4. All of the above

Correct answer: 3. Magistrate

Explanation: (Magistrate) (J.16-P)DYING-DEPOSITION is a statement on oath made by a dying person to a magistrate in the presence of the accused and his lawyer who has the opportunity of cross examination him (victim). Before the statement is made the doctor should certify that the victim is compos mentis.A dying deposition legally carries more weight than a dying declaration because(I) It is recorded by a magistrate(II) It is recorded in the presence of the accused and his lawyer who has the opportunity of cross examining the declarant.* In contrast to dying declaration, the dying deposition retains its full legal value even if the victim survives.